Study unit of ecological study is
1. Population
2. Patient
3. Community
4. Case

Correct answer: 1. Population

Explanation: In ecological studies the unit of observation is the population or community. * Disease rates and exposures are measured in each of a series of populations and their relation is examined. * Often the information about disease and exposure is abstracted from published statistics and therefore does not require expensive or time